In renal failure, metabolic acidosis is due to
1. Increased fr production
2. Loss of HCO,
3. Decreased ammonia synthesis
4. Use of diuretics

Correct answer: 3. Decreased ammonia synthesis

Explanation: Ans. is 'c' i.e., Decreased ammonia synthesis The predominant reason for metabolic acidosis in C.R.E is decreased ammonia production. Metabolic acidosis is a common disturbance in advanced chronic kidney disease The majority of patients can still acidly the urine but they produce less ammonia and, therefore, cannot excrete the normal quantity of protons in combination with this urinary buffer.